Which of the following is not true about Annual Infection rate of tuberculosis?
1. 1% increase in AIR is equivalent to 70 new cases of TB
2. It is one of the best indicator for evaluating tubercolusis problem and its trend
3. It expresses attacking force of Tuberculosis in community
4. It is 1.5% in India

Correct answer: 1. 1% increase in AIR is equivalent to 70 new cases of TB

Explanation: In developing countries 1% ARI corresponds to:50 SS +ve cases per 100,000 general population. Park's textbook of preventive and social medicine,K.Park,22nd edition,page no:168.